Pendular knee jerks are due to defect of?
1. Ischemic stroke
2. Neocerebellum
3. Paleocerebellum
4. Archicerebellum

Correct answer: 2. Neocerebellum

Explanation: Manifestation Neo-cerebellum Lesions of this area cause hypotonia. Manifests as pendular knee-jerk. Also developing in these patients is dysmetria, dysdaidokinesia, scanning speech also occur. Paleo-cerebellum Gait ataxia, loss of tandem gait Archi-cerebellum Truncal ataxia, titubation